Steeple sign is characteristis of ?
1. Acute epiglotitis
2. Laryngotrancheobronchitis
3. In both
4. None of above

Correct answer: 2. Laryngotrancheobronchitis

Explanation: Ans. is 'b' i.e., Laryngotrancheobronchitis